Property of acquiring antibiotic resistance from viral colony is by -
1. Transferance
2. Conjugation
3. Transduction
4. Mutation

Correct answer: 3. Transduction

Explanation: Ans. is 'c' i.e., Transduction Acquiring antibiotic resistance by viral colony (bacteriophage) is by transduction. . Drug resistance may be acquired in bacteria by Mutation Transduction (by bacteriophage ---> virus) Conjugation